Apart from composites and ceramics, another material that could be copy milled easily and inexpensively is:
1. Molybdenum
2. Germanium
3. Titanium
4. Chromium

Correct answer: 3. Titanium